A woman complains of headache associated with paresthesias of the right upper and lower limb likely diagnosis is -
1. Trigeminal neuralgia
2. Gossopharyngeal neuralgia
3. Migraine
4. Cluster headache

Correct answer: 3. Migraine